The primary mechanism of action of local anesthetics is
1. Blockade of voltage-gated sodium channels
2. Stimulation of voltage-gated N-type calcium channels
3. Activation of ligand-gated potassium channels
4. Blockade the GABA-gated chloride channels

Correct answer: 1. Blockade of voltage-gated sodium channels

Explanation: The primary mechanism of action of local anaesthetics is the blockade of voltage-gated sodium channels Ref: Katzung 13e pg:443